Middle meningeal artery courses along which of the following opening in the base of the skull?
1. Foramen ovale
2. Foramen lacerum
3. Foramen spinosum
4. Foramen rotundum

Correct answer: 3. Foramen spinosum

Explanation: Middle meningeal artery and vein travels through foramen spinosum. Structures passing through openings in the skull base are: ForamenStructuresCribriform plate of ethmoidOlfactory nervesOptic foramenOptic nerve, ophthalmic artery, meningesSuperior orbital fissureOculomotor, trochlear, and abducens nerves; ophthalmic division of trigeminal nerve; superior ophthalmic veinForamen rotundumMaxillary division of trigeminal nerve, small artery and veinForamen ovaleMandibular division of trigeminal nerve, veinForamen lacerumInternal carotid artery, sympathetic plexusForamen spinosumMiddle meningeal artery and veinInternal acoustic meatusFacial and vestibulocochlear nerves, internal auditory arteryJugular foramenGlossopharyngeal, vagus, and spinal accessory nerves; sigmoid sinusHypoglossal canalHypoglossal nerveForamen magnumMedulla and meninges, spinal accessory nerve, vertebral arteries, anterior and posterior spinal arteries